Secondary peripheral seal area in mandible is provided by:
1. Buccal shelf
2. Anterior lingual border
3. Retromolar pad
4. Crest of the ridge

Correct answer: 2. Anterior lingual border